On post mortem, metastasis are usually found in which organ -
1. Liver
2. Kidney
3. Brain
4. Bones

Correct answer: 1. Liver